Normal intraabdominal pressure is
1. 0-8mmHg
2. 10-15mmHg
3. 15-20mmHg
4. 20-26mmHg

Correct answer: 1. 0-8mmHg

Explanation: The abdomen behaves as a hydraulic system with a normal IAP of about 5-7 mmHg, and with higher baseline levels in morbidly obese patients of about 9-14 mmHg. Measuring IAP the bladder in the supine position is still the accepted standard method, but in patients in the semi-recumbent position (head of the bed elevated to 30 degrees and 45 degrees ), the IAP on average is 4 and 9 mmHg, respectively. Ref: guyton and hall textbook of medical physiology